Twitch of a single motor unit is called :
1. Myoclonic-jerk
2. Fasciculation
3. Tremor
4. Chorea

Correct answer: 2. Fasciculation

Explanation: B i.e. Fasciculation Fasciculation is visible or palpable twitch within a single muscle due to spontaneous discharge of one motor unit.Q Fibrillation Fine, irregular contraction of individual fibers, they are not visible grossly. Tremor Rhythmic abnormal involuntary movement. Chorea Rapid, jerky, semipurposive irregular movement more commonly occurring in the distal part.